Equatorial diameter of the lens is –
1. 7min
2. 8 mm
3. 9mm
4. 10 mm

Correct answer: 4. 10 mm

Explanation: Equatorial diameter of lens is 10 mm.